All of the following statements about Pseudopancreatic cysts are true except:-
1. Percutaneous aspiration is treatment of choice
2. Cystojejunostomy is treatment of choice
3. Serum amylase levels are increased
4. Presents as an epigastric mass

Correct answer: 1. Percutaneous aspiration is treatment of choice